Cauliflower ear is seen in-
1. Psudomonas infection
2. Aspergillus infection
3. Post traumatic
4. Tuberculosis

Correct answer: 3. Post traumatic

Explanation: Ans. is 'c' i.e., Post traumatic Hematoma of the auricleo It is the collection of blood between the auricular cartilage and its perichondrium. It usually occurs due to blunt trauma and often seen in boxers, wrestlers and rugby players, therefore it is also called Boxer's earo Extravasated blood may clot and then organise, resulting in typical deformity called, Cauliflower earo If haematoma gets infected, severe perichondritis may set in.